Which of the following statements about Atherosclerosis is true:
1. Intake of Unsaturated Fatty Acids is associated with decreased risk
2. Extent of lesions in veins is similar as that in arteries
3. Thoracic Aorta is more commonly involved than abdominal aorta
4. Hypercholesterolemia alone does not increase the risk of atherosclerosis per se

Correct answer: 1. Intake of Unsaturated Fatty Acids is associated with decreased risk

Explanation: Answer is A (Intake of Unsaturated Fatty Acids is associated with decreased risk) The maximal benefit is observed with Omega 3 Poly-unsaturated Fatty Acids, however Mono-unsaturated Fatty Acids also have consistent anti-atherosclerotic benefits and both Poly-unsaturated Fatty Acids (PUFA) and Monounsaturated Fatty Acids (MUFA) are considered Cardioprotective Fatty Acids. Hypercholestoremia alone may increase the risk of Atherosclerosis `Hyperlipidemia and more specifically hypercholesterolemia is a major risk factor lb,. atherosclerosis. Even in the absence of other factors, hypercholesterolemia is sufficient to stimulate lesion development'. - Robbins 8th/497 Extent of Athrosclerosis is more severe in arteries than in veins Atherosclerosis is always severe in areas where pressure and velocity are high (as in arteries) in contrast to areas where pressure and velocity are low (as in veins). 'Overall atherosclerosis is more severe in high-pressure arteries than in pulmonary arteries with lower blood pressure. It is least severe in veins where pressure and velocity are lowest' - 'Pan - Vascular Medicine' by Topol (2002)/90 Abdominal Aorta is more commonly involved than Thoracic Aorta `Abdominal Aorta is more commonly involved than Thoracic Aorta. Within the abdominal aorta lesions tend to be more prominent around the ostia' - `Med Essentials' (Kaplan Publishing) 2007/249 `In the systemic circulation severity is accentuated in the abdominal aorta and large arteries of the lower limb where pulse wave reflection and summation effect elevate the pulse and systolic pressures. The disease is more severe in large rather than small vessels indicating the importance of mural tension and Reynolds number both of which are proportional to radius increasing the likelihood and severity of effects of blood flow disturbance at arterial forks, junctions and curvatures'.- 'Pan Vascular Medicine'